Slice of tissue X-rays is -
1. Tomography
2. Mammography
3. Contrast studies
4. All of the above

Correct answer: 1. Tomography

Explanation: In CT, X-rays are used to create axial slices (sections) of the body -

               Slices with exposure to radiation → CT
               Slices without exposure to radiation → MRI